Treatment of choice in duct papilloma of breast is -
1. Simple mastectomy
2. Microdochectomy
3. Local wide excision
4. Chemotheapy

Correct answer: 2. Microdochectomy

Explanation: • Intraductal pailloma are true polyps of epithelium lined breast ducts.
• Benign lesions (not pre-cancerous)
• Mostly solitary, located under the areola (within 4-5 cm of nipple orifice)
• Generally <1 cm, can grow upto 4–5 cm
Clinical Features
• MC presentation: Bloody nipple discharge
• Intraductal papilloma is MC cause of bloody nipple discharge
Diagnosis
• Ductography: Small filling defects surrounded by contrast media
Treatment
• Microdochectomy: Complete excision of the involved duct along with tumor